A 55 years old patient complains of decreased distance vision however he will now does not require his near glasses for near work,the most likely cause is
1. Posterior subcapsular cataract
2. Nuclear sclerosis
3. Zonular cataract
4. Anterior subscapular cataract

Correct answer: 2. Nuclear sclerosis

Explanation: Nuclear sclerosis causes mild increase in the refractive index of the lens and hence the refractive power of the lens increases it leads to improvement in the near vision